Hydrocele is a type of ..... cyst -
1. Retention
2. Distension
3. Exudation
4. Traumatic

Correct answer: 3. Exudation

Explanation: Ans. is 'c' i.e., Exudation